All are cardinal signs of inflammation expect
1. Pain
2. Swelling
3. Cynosis
4. Redness

Correct answer: 3. Cynosis

Explanation: Cardinal signs of acute infalmation arewarmth:due to vascular dilationErythema:due to vasular dilation &congestionEdema :due to increased vascular leakPain :due to mediator release signRobbins 9th edition p71